On per vaginal examination, anterior fontanelle and supraobital ridge is felt in the second stage of labour. The presentation is :-
1. Brow presentation
2. Deflexed head
3. Flexed head
4. Face presentation

Correct answer: 1. Brow presentation

Explanation: Brow presentation is the rarest variety of cephalic presentation where the presenting part is the brow and the attitude of the head is short that of degree of extension necessary to produce face presentation Causes- Anencephaly(most common cause) Intrauterine death Multiparity Prematurity The position is to be confirmed on vaginal examination by palpating supra orbital ridges and anterior fontanelle Case with persistent brow presentation are delivered by cesarean section